Which of the following is antiplatelet drug ?
1. Clopidogrel
2. Tranexemic acid
3. Streptokinase
4. Hirudin

Correct answer: 1. Clopidogrel

Explanation: Ans. is 'a' i.e., Clopidogrel